All are true about Iron deficiency of anemia EXCEPT
1. Hypochromic microcytic
2. Sideroblasts
3. Serum ferritin is a marker
4. Anisocytosis and poikilocytosis

Correct answer: 2. Sideroblasts

Explanation: B. i.e. (Sideroblasts) (369- 373- Harsh Mohan 5th) (435 - Basic pathology 8th)* "Sideroblast are reduced or absent in iron deficiency "IRON DEFICIENCY ANEMIA* *Common cause of nutritional anemia* *S. ferritin is good indicator of the adequacy of body iron stores* **Biochemical findings - S. iron levels |. TIBC |. S. ferritin || red cell protoporphyrin ||, Erythropoietin|* **Microcytic hypochromic - MCV, MCH, MCHC are all reduced. Eg Iron deficiency anemia, sideroblastic anemia thalassaemia, anemia of chronic disorders,* Extra medullary hematopoiesis is uncommon* Anisocytosis and poikilocytosis, Target cells, elliptical forms and polychromatic cells are often present* Thrombosthenin is - contractile protein*** Hypothalamus is not rich in thromboplastin**